A patient with rain drop pigmentation, which poisoning caused it -
1. Copper
2. Arsenic
3. Lead
4. Mercury

Correct answer: 2. Arsenic

Explanation: Ans. is 'b' i.e.. Arsenic o Chronic arsenic poisoning causes patchy brown raindrop type pigmentationCharacteristic features of some poisoningPoisonFeaturesAlcoholMe Evans sign, morbid jealousyCocaineMagnan symptom or formication, jet black tongue (cocaine bugs/ tactile hallucination), Acute MICannabisRun amok, amotivational syndromeAmphetamineParanoid hallucinatory' features (induced psychosis)LSDBad trips, flash backPhencyclidineDissociative anaesthesia